Which of the following is not an indication for oxytocin:
1. Spontaneous premature labour
2. Post partum haemorrhage
3. Uterine inertia
4. Breast engorgement due to inefficient milk ejection reflex

Correct answer: 1. Spontaneous premature labour

Explanation: Ans. (a) Spontaneous premature labour(Ref: KDT 8/e p356)Note: Spotaneous premature labour is an indication for use of tocolytics and not oxytocin.